In an embryo with a complete deficiency of pyruvate kinase, how many net moles of ATP are generated in the conversion of 1 mole of glucose through the glycolytic pathway?
1. 0
2. 1
3. 2
4. 3

Correct answer: 1. 0

Explanation: Normally, 1 mole of ATP is used to convert 1 mole of glucose to 1 mole of glucose-6-phosphate and a second to convert 1 mole of fructose-6-phosphate to the bisphosphate. Two those phosphates are produced by cleavage of fructose-1,6-bisphosphate. Because the two those phosphates are converted to pyruvate, four ATPs are generated: two by phosphoglycerate kinase and two by pyruvate kinase. Net, two ATPs are produced. If pyruvate kinase is completely deficient, two less ATPs will be produced, and thus, the net ATP production will be zero. It is unlikely that the embryo would survive with a complete deficiency of this enzyme.